A 80-year-old man is admitted to the emergency department with severe pain at his right hip and thigh. Patient had difficulty in standing and mobility at the joint was reduced due to the severe pain. Patient had a history of fall 2 days back. Patient also told that he had been taking steroids for the past 3 years. An MRI examination of the right hip region was done. Which of the following arteries is most likely to be injured resulting in the above condition:-
1. Foveolar artery
2. Descending branch of lateral circumflex femoral
3. Deep circumflex iliac artery
4. Ascending branch of medial circumflex femoral

Correct answer: 4. Ascending branch of medial circumflex femoral

Explanation: MRI reveals avascular necrosis of the right hip joint. Blood supply of head of femur: The retinacular vessels which are branches of ascending medial and lateral circumflex femoral arteries are the chief supply to the epiphysis and femoral head at all ages. The foveolar artery constitutes a small and subsidiary blood supply to the femoral epiphysis The deep circumflex iliac artery arises from the external iliac artery and supplies branches to the ilium, the iliacus muscle, and lower portions of the abdominal wall. The descending branch of the lateral circumflexfemoral supplies the vastus lateralis muscle and participates in anastomoses at the knee.